SS18-SSX1 gene is associated with
1. Liposarcoma
2. Rhabdomyosarcoma
3. Synovial sarcoma
4. Ewing sarcoma

Correct answer: 3. Synovial sarcoma

Explanation: TumorCytogenetic AbnormalityGene fusionProposed functionSynovial sarcomat(x;18)(p11;q11)SS18-SSX1SS18-SSX2SS18-SSX4Chimeric transcription factors, interrupts cell cycle controlReference: Robbins and Cotran Pathologic Basis of Disease; 9th edition; Chapter 26; Bones, Joints, and Soft Tissue Tumors